Bertillon system is for -
1. Anthropometry
2. Dactylography
3. Dentition
4. Nuclear sexing

Correct answer: 1. Anthropometry

Explanation: Ans. is 'a' i.e., AnthropometryBertillion system is anthropometry.